The most common site of Myocardial infarction is
1. Anterolateral
2. Interventricular septum
3. Posterior wall
4. Inferior wall

Correct answer: 1. Anterolateral

Explanation: Ans. is 'a' i.e., Anterolateral